Ciclipirox oleamine is used in -
1. Dermatophytosis
2. Acne
3. Psoriasis
4. Lichen planus

Correct answer: 1. Dermatophytosis